The combined estrogen-progestin pill act mainly by:
1. Production of cervical MUCUS penetration
2. Suppression of FSH and LH release
3. Making endometrium unsuitable for implantation
4. Enhancing uterine contraction to dislodge the fertilized ovum

Correct answer: 2. Suppression of FSH and LH release